Weight gain occurs in all, except :
1. Pheochromocytoma
2. Cushing's syndrome
3. Hypothyroidism
4. Insulin secreting tumor

Correct answer: 1. Pheochromocytoma

Explanation: Answer is A (Pheochromocytoma): Pheochromocytoma causes weight loss.